In circulatory biomechanics which of the following is true-
1. Blood viscosity is increased in anemia
2. Blood viscosity is decreased in polycythemia
3. Cardiac output is increased in anemia
4. Cardiac output is decreased in Beri-Beri

Correct answer: 3. Cardiac output is increased in anemia

Explanation: Ans. is 'c' i.e., Cardiac output is increased in anemia o Cardiac output is increased in conditions which cause decrease in peripheral vascular resistanceExerciseAV fistula or shuntSevere anemiaThyrotoxicosisWet beri-beriAbout other optionso Blood viscosity is lowr in anemia and high in polycythemia.